Card test is done for?
1. Abductor pollicis brevis
2. Dorsal interossei
3. Palmar interossei
4. Adductor pollicis

Correct answer: 3. Palmar interossei

Explanation: Card test - Person is told to hold a card tightly between the fingers to test palmar interossei.
Book test - To test adductor polllicis.
Pen test - To test for abductor pollicis brevis.